Most common manifestation of congenital Rubella syndrome is
1. Cataract
2. Chorioretinitis
3. Deafness
4. Patent ductus arteriosus

Correct answer: 3. Deafness

Explanation: Triad of congenital Rubella syndrome :

Salt pepper retiopathy > cataract.
Deafness.
PDA.
Of which deafness is the most common finding.